Karyotype of partial mole?
1. 46 XX
2. 46 XY
3. 69 XXY
4. 66 XXY

Correct answer: 3. 69 XXY

Explanation: Partial mole is triploid, commonly 69 XXY. Complete mole is either 46 XX or 46 XY.